Vascular dilation in the inflammatory response is mediated by all the following EXCEPT ?
1. Prostaglandins
2. C3a
3. Leukotrienes
4. C5a

Correct answer: 3. Leukotrienes

Explanation: Ans. is 'c' i.e., Leukotrienes